cGMP is second messenger for which hormone(s)?
1. Somatostatin
2. Atrial natriuretic factor
3. Angiotensin II
4. Antidiuretic hormone (ADH)

Correct answer: 2. Atrial natriuretic factor